Lupus vulgaris is -
1. Tuberculosis of skin
2. Basal cell carcinoma
3. Squamous cell carcinoma
4. Fox bite

Correct answer: 1. Tuberculosis of skin

Explanation: Ans. is 'a' i.e., Tuberculosis of skin o Lupus vulgaris is most common type of cutaneous tuberculosis. Cutaneous tuberculosis | |b1Exogenous SourceEndogenousHypersensitivityo Tuberculosis chancre (Primary inoculation TB)o Tuberculosis verucosa cutiso Lupus vulgariso Scrofulodermao Orificial tuberculosiso Miliary tuberculosiso Metastatic tuberculous abscesso Gummao Tuberculids# Lichen scrofulossorum# Papulo-necrotic# Erythema induration# Erythema nodosum